Biotin may be used for treatment of which of the following conditions?
1. Maple syrup urine disease
2. Methylmalonic acidemia
3. Phenylketonuria
4. Multiple carboxylase deficiency

Correct answer: 4. Multiple carboxylase deficiency

Explanation: Biotin is a cofactor for carboxylase, so it can be used in the treatment of multiple carboxylase deficiency. Maple syrup urine disease- Thiamine Methylmalonic acidemia- Vitamin B12, L- carnitine, Metronidazole Phenylketonuria- Tetrahydrobiopterin